Na+ – K+ ATPase
1. 3 Na+ out/ 2K+ in
2. 3Na+ in/ 2K+ out
3. 2Na+ out/ 3K+ in
4. 2Na+ in/3K+ out

Correct answer: 1. 3 Na+ out/ 2K+ in

Explanation: In Na+-K+ exchange, 3 Na goes out and 2K goes in to the cell.